Posterior Midline Atrophic Candidiasis is:
1. Migratory glossitis.
2. Median rhomboid glossitis.
3. Hairy tongue.
4. None.

Correct answer: 2. Median rhomboid glossitis.